BCG vaccine is diluted with:
1. Normal saline
2. Distilled water
3. Dextrose
4. Colloids

Correct answer: 1. Normal saline

Explanation: Ans. A: Normal saline BCG Vaccine (Freeze-Dried) for intracutaneous administration, as prepared by Connaught Laboratories Limited, is made from a culture of an attenuated strain of living bovine tubercle bacillus (Bacillus Calmette-Guerin). It is supplied as a freeze-dried product ready for immediate use following reconstitution with the accompanying diluent, which consists of sterile phosphate-buffered normal saline. Distilled water may cause irritation.